Hydroxyethyl starch is a -
1. Vasodilator
2. Inotrope
3. Plasma expander
4. Diuretic

Correct answer: 3. Plasma expander

Explanation: Ans. is 'c' i.e., Plasma expander Plasma expanderso These are high molecular weight substances which exerts colloidal osmotic (oncotic) pressure, and when infused i.v. retain fluid in the vascular compartment.o Human plasma or reconstituted huma albumin are the best, However, the former carries the risk of transmitting serum hepatitis, AIDS, and latter is expensive. Therefore synthetic colloids are more often used,o Desirable properties of plasma expander are :Should exert oncotic pressure comparable to plasma.Should remain in circulation and not leak out in tissues, or be too rapidly disposed.Should be pharmacodynamically inert.Should not be pyrogenic or antigenic.Should not interfere with grouping and cross-matching of blood.Should be stable, easily sterilizable and cheap.o Substances used are - Human albumin, Dextran, Degraded gelatin polymer, Hydroxy ethyl starch, polyvinyl pyrrolidone.o Albumin has all desirable properties except it is expensive.o Uses of plasma expanders - to correct hypovolemia, e.g. in bums, hypovolemic and endotoxic shock, severe trauma.o Contraindications ->> Severe anaemia, cardiac failure, pulmonary edema, renal insufficiency.